The diagnosis of a patient presenting with seizures, Intellectual disability and Sebaceous adenoma is -
1. Hypothyroidism
2. Tuberous sclerosis
3. Toxoplasmosis
4. Down syndrome

Correct answer: 2. Tuberous sclerosis